Because free ammonia in the blood is toxic to the body, it is transported in which of the following non-toxic forms?
1. Histidine and urea
2. Phenylalanine and methionine
3. Glutamine and urea
4. Lysine and glutamine

Correct answer: 3. Glutamine and urea

Explanation: Glutamine and urea Ref: Ganong - Review of Medical Physiology 23rd Ed Page 644